Hexokinase is ?
1. Ligase
2. Transferase
3. Oxidoreductase
4. Reductase

Correct answer: 2. Transferase

Explanation: Ans. is `b' i.e., Transferase